Drug of choice for Liddle syndrome
1. Acetazolamide
2. Furosemide
3. Amiloride
4. Spironolactone

Correct answer: 3. Amiloride

Explanation: Liddle syndrome is charcterized by increased ENaC channels and Amiloride is a ENaC blocker, which can be used for this condition.